Varnish is used under which cement?
1. Amalgam
2. ZOE cement
3. Zinc Phosphate Cement
4. Glass Ionomer cement

Correct answer: 3. Zinc Phosphate Cement